Gray baby syndrome is caused by -
1. Penicillin
2. Chloramphenicol
3. Rifampicin
4. Erythromycin

Correct answer: 2. Chloramphenicol

Explanation: Ans. is 'b' i.e., Chloramphenicol o Chloramphenicol causes gray baby syndrome in premature neonates due to blockade of electron transport in liver, myocardium and skeletal muscle. Remember o Chloramphenical is the most common cause of aplastic anemia. o Tetracyclines are the most common cause of superinfections.